Tigroid white matter on MRI is seen in?
1. Pantothenate kinase deficiency
2. Pelizaeus-merzbacher disease
3. Neuroferritinopathy
4. Aceruloplasminemia

Correct answer: 2. Pelizaeus-merzbacher disease

Explanation: The tigroid pattern/ leopard skin sign occurs on MRI head is seen in Pelizaeus-merzbacher disease, due to creation of islands of perivascular myelin due patchy myelin deficiency. It is a rare hypomyelination syndrome caused by mutation in proteolipid protein, PLP 1 gene at chromosome Xq22. Child will show slow psychomotor development with nystagmus(pendular eye movements), hypotonia, extrapyramidal symptoms and spasticity. Tigroid pattern is also seen in metachromatic leucodystrophy.